Which one is Traction epiphysis:
1. Head of humerus
2. Coracoid process of scapula
3. Greater trochanter of femur
4. Head of 1st metacarpal

Correct answer: 3. Greater trochanter of femur

Explanation: Ans. C. Greater trochanter of femurThere are four types of epiphysis:a. Pressure epiphysis: The region of the long bone that forms the joint is a pressure epiphysis (e.g. the head of the femur, head of the humerus, condyles of femur and tibia). Pressure epiphyses assist in transmitting the weight of the human body and are the regions of the bone that are under pressure during movement or locomotion.b. Traction epiphysis: The regions of the long bone which are non-articular, i.e. not involved in joint formation. Unlike pressure epiphyses, these regions do not assist in weight transmission. However, their proximity to the pressure epiphysis region means that the supporting ligaments and tendons attach to these areas of the bone. Examples of traction epiphyses are tubercles of the humerus (greater tubercle and lesser tubercle), and trochanters of the femur (greater and lesser).c. Atavistic epiphysis: A bone that is independent phylogenetically but is now fused with another bone. These types of fused bones are called atavistic, e.g., the coracoid process of the scapula, ostrigonum (posterior tubercle of talus).d. Aberrant epiphysis: These epiphyses are deviations from the norm and are not always present. For example, the epiphysis at the head of the first metacarpal bone and at the base of other metacarpal bones